Tentative cuts are seen in:
1. Homicidal wound
2. Suicidal wound
3. Rail track accidental wound
4. Road traffic accident

Correct answer: 2. Suicidal wound

Explanation: Ans: B (Suicidal wound) Tentative Cuts or Hesitation Marks or Trial Wounds or Preliminary Wounds# Seen in suicidal woundQThey are the cuts which are multiple, small & superficial often involving only skin & are seen at the beginning of the incised wound.Hesitation cuts derive their name from the hesitation with which these incision are inflicted by a person intending to commit suicide by a cutting instrument.The site of election of suicidal incised wounds are: throat, wristQ & front of chestQ.Fatal incised wound of arm are always suicidalSuicides usually do not injure faceA person who commits suicide usually exposes the portion of the body to be incisedHesitation cuts are not found in homicidal assault